Falx cerebri contains:
1. Occipital sinus
2. Straight sinus
3. Superior petrosal sinus
4. Transverse sinus

Correct answer: 2. Straight sinus

Explanation: Falx cerebri is a double fold of duramater containing superior and inferior sagittal sinus. It also contains straight sinus at the base. Occipital sinus runs in the falx cerebelli, whereas superior petrosal sinus and transverse sinus run in the attached margin of tentorium cerebelli.